Stool specimen is transported in -
1. Cary blair medium
2. Blood agar
3. Selenite F broth
4. Compy BAP medium

Correct answer: 1. Cary blair medium

Explanation: Ans. is "a' i.e., Cary blair medium o Transport media for stool specimen areCary-Blair mediumBuffered glycerol salineStuart mediumo Inoculate media for routine stool culture areBlood agarMacConkey agarHektoen enteric HE ( agar)Selective media for campylobactor: Campy BAP, skirrowSelenite F broth or GN BrothXylose-lysine deoxycholate agar (XLD agar)o For specific situations, selective media are usedVibrio : TCBS agar or Alkaline peptone broth.Yersinia : Cefsulodin-Irgasan-Novobiosin (CIN) agar or Phosphate Buffered Saline (PBS) broth.E.coli 0157:H?: Sarbitof-MacConkey agar.